Primary prevention includes all, except:
1. Marriage counselling
2. Health education
3. Self breast examination
4. Health promotion

Correct answer: 3. Self breast examination

Explanation: Pap smear and self breast examination are screening methods Ref: Park, 20th Edition, Page 39